All of the following statement regarding ewings sarcoma are true except?
1. Common location is diaphysis of long bones
2. Symptoms resemble osteomyelitic
3. Translocation +(11,22) is classical
4. Flexner-Wintersteiner rosettes.

Correct answer: 4. Flexner-Wintersteiner rosettes.

Explanation: In ewings sarcoma, Homer-Wright pseudo rosettes are seen.
Flexner-Wintersteiner rosettes are seen in retinoblastoma.